Which one of the following infection is seen one month after renal transplantation
1. Chickenpox virus
2. Coxsackie virus
3. Cytomegalo virus
4. Epstein Barr virus

Correct answer: 3. Cytomegalo virus

Explanation: (C) Cytomegalovirus # Epidemiology: CMV spreads slowly and probably requires close contact for transmission. It may spread through salivary or other secretions or by sexual contact. A special method of transmission is by blood transfusion or organ transplants(MAINLY RENAL TRANSPLANTS). The virus has been detected in saliva, urine, cervical secretions, semen, blood and milk.> CMV is the most common opportunistic infection in a renal transplant (or any organ transplant) patient> It does not generally appear until the end of the first post-transplant month> Infection in the first post transplant month are most commonly due to conventional nosocomial infections.> Cytomegalovirus infection is seen in immunocompromised hosts e.g., transplant recipients, cancer patients on chemotherapy and in HIV infected. It can also be acquired transplacentally or by transfusion of CMV infected blood.